Pigmentary glaucoma - findings seen is
1. Fevy line
2. Flesscher’s line
3. Hadson hauti line
4. Krukenberg’s spindles

Correct answer: 4. Krukenberg’s spindles

Explanation: Deposition of pigment granules in posterior surface of cornea is called krukenbergs spindle it is seen in pigment dispersion syndrome.